True statement about Greater saphenous vein is:
1. Posterior to the medial malleolus
2. Drains into the popliteal vein
3. Posterior to the medial condyles of the tibia and femur
4. Deep to the fascia lata of the thigh

Correct answer: 3. Posterior to the medial condyles of the tibia and femur

Explanation: The Greater Saphenous Vein ascends superficial to the fascia lata. It courses anterior to the medial malleolus and posterior to the medial condyles of the tibia and femur and passes through the saphenous opening (fossa ovalis) in the fascia lata, and joins the Femoral Vein.